Biobrane is a commercially available:
1. Root matrix protein
2. Biodegradable membrane
3. Bone graft material
4. Non-bone graft material

Correct answer: 2. Biodegradable membrane